Chanroid is caused by-
1. Hemophilus ducrey's
2. Hemojphilus vaginalis
3. Trachoma virus
4. Treponima pallidum

Correct answer: 1. Hemophilus ducrey's

Explanation: A i.e. Hemophilus ducreyi